FeCl test is used in diagnosis of
1. HCl
2. Acetic acid
3. Alcohol
4. Phenol

Correct answer: 4. Phenol

Explanation: Diagnosis of phenol poisoning change in color of urine(carboluria) Ferric chloride when added color of urine turns blue. Ref: FORENSIC MEDICINE AND TOXICOLOGY Dr PC IGNATIUS THIRD EDITION PAGE 414